The most common injury in a 7 years old child due to fall on outstretched hand is
1. Dislocation of shoulder
2. Colles' fracture
3. Fracture of clavicle
4. Supracondylar fracture of humerus

Correct answer: 4. Supracondylar fracture of humerus

Explanation: D i.e. Supracondylar fracture of humerus